All of the following are true about b thalassemia trait, Except -
1. Microcytic hypochromic picture
2. ↑ed HbA2
3. ↑ed HbF
4. Patient requires blood transfusion

Correct answer: 4. Patient requires blood transfusion